Which of the following is not a symptom of menetrier disease
1. Weight gain
2. Edema
3. Diarrhea
4. Vomiting

Correct answer: 1. Weight gain

Explanation: Menetrier disease associated with loss of proteins and diarrhoea so there will be weight loss